Ocular hallmark of giant cell arteritis is
1. Papilloedema
2. CRAO
3. AION
4. CRVO

Correct answer: 3. AION

Explanation: Answer- C. AIONThe most common ocular manifestation of giant cell arteritis is visual loss, most commonly secondary to anterior ischemicoptic neuropathy (AION) due to occlusion of short posterior ciliary aerities.Ophthalmic artery involvement can lead to sudden blindness which is the most feared complication of temporal arteritis.